All are causes of granular contracted kidneys,except-
1. Benign nephrosclerosis
2. Diabetes mellitus
3. Chronic PN
4. Chronic GN

Correct answer: 2. Diabetes mellitus